Late complication ofAcetabular fracture -a) Avascular necrosis of head of femurb) Avascular necrosis of lilac crestc) Fixed deformity of the hip jointd) Secondary osteoarthritis of hip joint
1. b
2. c
3. ac
4. ad

Correct answer: 4. ad

Explanation: Early complications include sciatic nerve injury and iliofemoral venous thrombosis.
Among late complications, the common problem is development of secondary osteoarthritis. Other possible problems include avascular necrosis (osteonecrosis) of femoral head, Heterotopic ossification and joint stiffness.